Musculocutaneous nerve is a branch of
1. Root of brachial plexus
2. Lateral cord of brachial plexus
3. Medial cord of brachial plexus
4. Posterior cord of brachial plexus

Correct answer: 2. Lateral cord of brachial plexus

Explanation: REF.BDC VOL.1,FIFTH EDITION.pg.88 The musculocutaneous nerve is the main nerve of the front of the arm and continues below the elbow as the lateral cutaneous nerve of the forearm.It is a branch of the lateral cord of the brachial plexus,arising at the lower border of the pectoralis minor in the axilla.